Which of the following is true regarding 5-HT derivatives:
1. Cisapride is selective 5-HT4 antagonist
2. Ondansetron is a 5-HT3 agonist
3. Cyproheptadine is 5-HT2A agonist
4. Sumatriptan action is agonistically 5-HT 1B/1D receptor mediated

Correct answer: 4. Sumatriptan action is agonistically 5-HT 1B/1D receptor mediated

Explanation: Ans. D: Sumatriptan action is agonistically 5-HT 113/1D receptor mediated Cisapride and renzapride are selective 5-HT4 agonists. Ondansetron is a selective 5-HT3 antagonist which inhibits vomiting by blocking these receptors in brainstem as well as in gut wall. Cyproheptadine is 5-HT2A antagonist and has additional H1 antihistaminic, anticholinergic and sedative properties. Sumatriptan and other triptan are selective 5-HT 113/1D agonists, constricts cerebral blood vessels and has emerged as the most effective treatment of acute migraine attacks.